Coronal suture is placed between
1. Two parietal bones
2. Two halves of frontal bone
3. Frontal bone and two parietal bones
4. Occipital and two parietal bones

Correct answer: 3. Frontal bone and two parietal bones

Explanation: 1. Coronal suture: This is placed between the frontal bone and the two parietal bones. The suture crosses the cranial vault from side to side and runs downwards and forwards2. Sagittal suture: It is placed in the median plane between the two parietal bones. 3. Lambdoid suture: It lies posteriorly between the occipital and the two parietal bones, and it runs downwards and forwards across the cranial vault.4. Metopic suture: This is occasionally present in about 3 to 8% individuals. It lies in the median plane and separates the two halves of the frontal bone.Ref: Chaurasia; Volume 3; 6th edition; Chapter 1; Page no: 4